Jefferson's is :
1. C1
2. C2
3. C2 C1
4. C2 C3

Correct answer: 1. C1

Explanation: A i.e. C1